Multiple osteomas, multiple polyposis, supernumerary teeth are found in ______ syndrome
1. Reiter's
2. Peutz - jeghers
3. Gardner's
4. Behcet's

Correct answer: 3. Gardner's